Best prognosis of following:
1. <1 cm Size, Node -ve, ER/PR +ve, Her 2 Negative
2. <1 cm Size, Node -ve, ER/PR -ve, Her 2 Positive
3. <2 cm Size, Node -ve, ER/PR +ve, Her 2 Negative
4. <2 cm Size, Node -ve, ER/PR -ve, Her 2 positive

Correct answer: 1. <1 cm Size, Node -ve, ER/PR +ve, Her 2 Negative

Explanation: Ans. (a) <1cm Size, Node -ve, ER/PR +ve, Her 2 Negative(Ref. Bailey and Love 27th edition Page 872)* ER/PR Positive is good prognosis* Her 2 positive carries high virulence of the tumor